Mallampatti's classification is for?
1. Mobility of cervical spine
2. Mobility of atlanto axial joint
3. Assessment of free rotation of neck before intubation
4. Inspection of oral cavity before intubation

Correct answer: 4. Inspection of oral cavity before intubation

Explanation: Ans. is 'd' i.e., Inspection of oral cavity before intubation Mallampati score (Mallampati oropharyngeal scale)* Mallampati grading is used to evaluate the visibility of tonsil and tonsillar fossa which in turn assess the adequate mouth opening depending upon the grade.* Indications of Mallampati score are Oral cavity assessment to rule out difficult intubation (Inspection of oral cavity before intubation) & Sleep apnea evaluation.* Mallampati score is divided into four gradesClass 1Class 2Class 3Class 4* Soft palate, uvula, faucial pillars & posterior pharyngeal wall are visible* Lower part of faucial pillar & uvula are masked by the abse of tongue.* Upper part of faucial pillars & soft palate are visible.* Only soft palate is visible* None of the structure is visible.* Only hard palate is visible.